Membrane proteins are synthesized in ?
1. Free ribosome
2. Bound ribosome
3. Nucleolus
4. Mitochondria

Correct answer: 2. Bound ribosome

Explanation: Ans. is 'b' i.e., Bound ribosomeRibosomes Ribosomes are the actual sites of protein synthesisQ. The ribosomes are small granules of RNAs. Ribosomes are usually occur in clusters called polyribosomes attached to one mRNA molecule, an arrangement that increases the rate of polypeptide synthesis. There are two types of polyribosomes : -Free (cytosolic) : - Present free in cytosol.Bound polyribosome : - Present on rough ER.Both types can synthesize protein : ? Proteins synthesized by polyribosomes Cytosolic (free) PolyribosomesBound (rough ER) Polyribosomes Cytosolic proteins, e.g., HemoglobinSynthesize all membrane proteins Cytoskeletal proteins Mitochondria] membrane Mitochondrial proteinsER membrane Nuclear proteinsGolgi apparatus membrane u Plasma membranePeroxisomal protein Secretory proteins Lysosomal enzym